Dorsum of first webspace is supplied by nerve
1. Superficial peroneal
2. Deep peroneal
3. Sural
4. Posterior tibial

Correct answer: 2. Deep peroneal

Explanation: Nerve supply to lower limb Thigh: Anterior compartment - femoral nerve Medial compartment - obturator nerve Posterior compartment - tibial nerve (Sciatic nerve) Leg: Anterior - Deep Peroneal Nerve (DPN) Lateral - Superficial peroneal nerve (SPN) Posterior- Tibial nerve Foot: Dorsum of foot (except first web space)- superficial peroneal nerve Dorsum of first web space - Deep peroneal nerve (DPN) Plantar surface - Medial and lateral plantar nerve (terminal division of tibial nerve) Middle malleolus - Saphenous nerve (branch of femoral nerve) Lateral margin - Sural nerve